Vitamin A activity is inhibited by
1. Linetin
2. Black berries
3. Citral
4. Red cabbage

Correct answer: 3. Citral

Explanation: These results suggest that citral inhibits both the natural vitamin A in the plasma and the added synthetic vitamin A, thus producing changes in the tracheal epithelium characteristic of vitamin A deficiency.
Ref : The Effects of Vitamin A and Citral on Epithelial Differentiation in vitro, J. Embryol. exp. Morph., Vol. 11, Part 1, pp. 279-291